Following data was obtained from a 20 year old medical student: tidal volume = 540 mL, partial pressures of CO2 in expired air & arterial blood ~ PECO2 = 20 mm Hg, PACO2 = 30 mm Hg: respiratory rate = 15/min. The alveolar ventilation would be:-
1. 4.2 L/min
2. 4.8 L/min
3. 5.2 L/min
4. 5.4 L/min

Correct answer: 4. 5.4 L/min

Explanation: Alveolar ventilation = (tidal volume - dead space volume) x Respiratory rate= (540 - 180) 115 = 5.4 L/min